HMB 45 is a tumor marker for -
1. Neuroblastoma
2. Neurofibroma
3. Malignant melanoma
4. Angiosarcoma

Correct answer: 3. Malignant melanoma

Explanation: Ans. is 'c' i.e., Malignant melanomaMarkers for melanona1. S-100 - 90% of tumors are positive2 HMB-45 - More specific but less sensitive than S-l 003. TA-90Important markersTumoro S-l00.HMB-45Melanomao TA-90Melanoma, colon & breast ca.o NMP-22Urinary bladder ca.o Neuron Specific enalase}Neuroendocrine tumors (small cell ca of lung, carcinoid tumor & neuroblastoma)o Chromogranin Ao Lipid associated Sialic acid (LASA-P)Ovarian Ca.o C A 72-4Ovarian, pancreatic & gastric Ca.o CA19-9Pancreatic & colorectal Cao CA 125Epithelial ovarian tumoro CA27.29&CA15-3Breast Cancer.